Transovarian transmission of infection occurs in – a)  Fleasb)  Ticksc)  Mosquitoesd)  Sandfly
1. a
2. c
3. ac
4. bc

Correct answer: 4. bc